Binding of oxygen to myoglobin:
1. Is characterized by the sigmoidal saturation curve
2. Occurs at multiple sites
3. Is characterized by the sigmoid and multiple hyperbolic saturation curve
4. Is characterized by the hyperbolic saturation curve

Correct answer: 4. Is characterized by the hyperbolic saturation curve

Explanation: Myoglobin molecule contains a single O2 binding site and thus the saturation process is characterized by a simple hyperbolic curve, in contrast to hemoglobin, sigmoid saturation curve of which shows positive cooperativity of multiple oxygen binding sites. Ref: Lippincott's Biochemistry, 5th Ed page 26